Irresistible desire to do something without any provocation is called
1. Phobia
2. Impulse
3. Delirium
4. Delusion

Correct answer: 2. Impulse

Explanation: IMPULSE Impulse is an irresistible desire to do something without any provocation. There are many types of impulses- kleptomania, pyromania, mutilomania, etc Ref: FORENSIC MEDICINE AND TOXICOLOGY Dr PC IGNATIUS THIRD EDITION PAGE 360